All is true regarding case fatality rate except ?
1. Represents killing power of disease
2. Closely related to viruleance
3. Very useful for chronic diseases
4. May vary in different epidemic for same disease

Correct answer: 3. Very useful for chronic diseases

Explanation: Ans. is 'c' i.e., Very useful for chronic disease CFR is typically used in acute infectious disease e.g. food poisoning, cholera, measles. o Its usefulness in chronic disease is limited, because the period from onset to death is long and variable. CFR is closely related to virulence of agent. o Limitation of CFR is that time period is not specified. o The case fatality rate for the same disease may vary in different epidemics because of changes in host, agent and environment factors. o Case fatality rate is the complement of survival rate. CFR =1 - survival rate CRF will be more if survival rate is less more patients are dying due to disease (i.CFR) or in other words less patients are surviving survival rate).